Most B/L multifocal retinoblastoma require –
1. Chemotherapy
2. Radiotherapy
3. Enucleation
4. Multimodality therapy

Correct answer: 4. Multimodality therapy

Explanation: Chemotherapy is now the first line of treatment in most cases of bilateral retinoblastoma. In some children, chemotherapy alone induces complete regression of all treated tumors. More frequently, the chemotherapy shrinks the intraocular tumors (chemoreduction) so that the residual lesions can be eradicated by local treatments like laser therapy, cryotherapy or brachytherapy, i.e., multimodality therapy.